Which of the following statements best describe synesthesia?
1. Simultaneously experiencing sensation on symmetrical areas of the body on stimulation of one side
2. Perception in one sensory modality caused by stimulus in same sensory modality
3. Stage of altered consciousness caused by drugs like cannabis
4. Perception in one sensory modality caused by stimulus in another sensory modality

Correct answer: 4. Perception in one sensory modality caused by stimulus in another sensory modality

Explanation: Ans. D. Perception in one sensory modality caused by stimulus in another sensory modalitySynesthesia: experience of stimulus in 1 sense modality producing a sensory experience in another.When I hear music, I see shapes in airMorbid form of synesthesia - reflex hallucinationStimulus in 1 sensory modality - producing hallucination in another